A recurrent chalazion should be subjected to histopathologic evaluation to exclude the possibility of:
1. Squamous cell carcinoma
2. Sebaceous cell carcinoma
3. Malignant melanoma
4. Basal cell carcinoma

Correct answer: 2. Sebaceous cell carcinoma

Explanation: Ans. Sebaceous cell carcinoma